Brock's Syndrome is
1. Bronchiectasis Sicca
2. Middle Labe Bronchiectasis
3. Kartagener's Syndrome
4. Sarcoidosis

Correct answer: 2. Middle Labe Bronchiectasis

Explanation: Ans. is 'b' i.e., Middle Lobe Bronchiectasis Brock's Syndrome Right middle lobe bronchiectasis occurring as a late sequel ofprimaiy tuberculosis is known as Brock's syndrome or middle lobe syndrome. Brock's syndrome is believed to be caused by pressure of lymph nodes in primary tuberculosis on the middle lobe bronchus. It has been described as a typical outcome of hilar node involvement by tuberculosis in childhood. This term is also applied to recurrent atelectasis of the right middle lobe in the absence of endobronchial obstruction. Bronchiectasis develops after recurrent episodes of atelectasis and fibrosis